A child has fever with redness of cheek. The causative organism fohis condition is:
1. Herpes virus
2. Parvovirus B-19
3. Adenovirus
4. Rubella

Correct answer: 2. Parvovirus B-19

Explanation: Ans. (B) Parvovirus B-19Exanthema infectiosum:The characteristic rash first appears as erythematous flushing on the face in a slapped cheek appearance (red cheek).The most common manifestation of parvovirus B19 is erythema infectiosum, also known as fifth disease, which is a benign, self-limited exanthematous illness of childhood.It was the 5th in a classification scheme of common childhood exanthems.The preceding 4 exanthems were measles, scarlet fever, rubella, and Filatov-Dukes disease (an atypical scarlet fever), with roseola infantum as the "sixth disease